Mobile bone of skull:
1. Maxilla
2. Mandible
3. Ethmoid
4. Sphenoid

Correct answer: 2. Mandible

Explanation: Temporomandibular joint is a synovial joint allowing free movements of mandible.